Tumor Exclusively seen in Parotid gland is:
1. Mucoepidermoid
2. Adenocystic
3. Warthin tumor
4. Pleomorphic adenoma

Correct answer: 3. Warthin tumor

Explanation: Ans. (c) Warthin's TumorRef Surgery Sixer 3rd Edition Page 190, Extra Mile Warthin's Tumor Salient Points:* Occurs exclusively in Parotid gland.* MC in Males* MC in Smokers* MC in Lower pole of parotid (at angle of mandible)* 10% cases are Bilateral